A28-year-old farmer is convulsing, with 100bpm heart rate, BP180/100, diarrhea, vomiting and urination. Pupil are pin point. Drug poisoning suspected is:
1. Aspirin poisoning
2. Amphetamine
3. OPC poisoning
4. Atropine poisoning

Correct answer: 3. OPC poisoning

Explanation: Ans. C. OPC poisoningAll the symptoms listed in the questions are symptoms associated with cholinergic effects which is OPC poisoning.it should not be confused with atropine poisoning where effects are anticholinergic.